Dharmendra's index and Jopling's classification deals with -
1. TB
2. Leprosy
3. Syphilis
4. Polio

Correct answer: 2. Leprosy

Explanation: Dharmendra' s index anx jopling classification deals with leprosy. Reference; Park's Textbook of preventive and social medicine, 24th edition.Pg no. 337